Most common Non Hodgkins lymphoma is
1. Diffuse large B cell lymphoma
2. Follicular lymphoma
3. Anaplastic large cell lymphoma
4. Large T-cell leukemia/lymphoma

Correct answer: 1. Diffuse large B cell lymphoma

Explanation: Ans. (a) Diffuse large B cell lymphoma(Ref: Robbins 9th/pg 595-596; 8th/pg 606-607)Most common Non Hodgkins lymphoma is Diffuse large B cell lymphomaDiffuse large B cell lymphoma (DLBCL)